Not true regarding treatment of chalazion
1. Intralesional triamcinolone injection
2. Oral tetracycline
3. Curettage is done from skin side
4. Vertical incisions are given to avoid damage to meibomian ducts

Correct answer: 3. Curettage is done from skin side

Explanation: Treatment Chalazion a. Intralesional triamcinolone injection in recent-onset chalazion. b. Oral tetracycline should be used for propylaxis in recurrent cases. c. Curettage is done from conjunctival side with the help of chalazion scoop. d. Vertical incisions are given to avoid damage to meibomian ducts.